Which of the following hormone is synthesized from the amino acid Tyrosine?
1. Calcitriol
2. Calcitonin
3. Thyroxin
4. Cortisol

Correct answer: 3. Thyroxin

Explanation: The thyroid hormones triiodothyronine (T3) and thyroxine (T4) in the colloid of the thyroid also are derived from tyrosine. In dopaminergic cells in the brain, tyrosine is converted to levodopa by the enzyme tyrosine hydroxylase (TH). Tyrosine is also the precursor to the pigment melanin.